Three point relationship is reversed in all of the following conditions, EXCEPT:
1. Medial epicondyle fracture
2. Lateral epicondyle fracture
3. Supracondylar fracture
4. Posterior elbow dislocation

Correct answer: 3. Supracondylar fracture

Explanation: The structures forming the three bony point around the elbow are medial epicondyle, lateral epicondyle and tip of olecranon. Normally in an elbow flexed at 90 degree these three points forms a near isosceles triangle. Base is formed by the line joining the two epicondyles. The three points lies in a straight line when the elbow is extended. The three point relation is maintained in supracondylar fracture of humerus. Three point relation is disturbed in: Elbow dislocation Fracture medial epicondyle and condyle Fracture lateral epicondyle and condyle Fracture intercondylar humerus Ref: Best Aid to Orthopedics By Pramod T. K., Pramod TK page 120.